A patient of more than 70 years, presented with generalized lymphadenopathy. WBC count was 20,000/ mm3 and blood film showed >70% mature looking lymphocytes. Next investigation that should be done
1. LN biopsy
2. Peripheral Immunophenotyping
3. Bone marrow aspiration
4. Peripheral blood cytogenetics

Correct answer: 2. Peripheral Immunophenotyping

Explanation: Ans. b. Peripheral Immunophenotyping A patient of more than 70 years, presented with generalized lymphadenopathy. WBC count was 20,000/mm3 and blood film showed >70% mature looking lymphocytes. This clinical situation is suggestive of CLL Harrison says "Differential diagnosis of typical B cell CLL is extensive. Immunophenotyping will eliminate the other T-cell disorders and can often help so other B-cell malignancies."